Regarding Brown adipose tissue which is FALSE?
1. Nucleus of the fat cell is not pushed to the side
2. The fat cell contains one large fat droplet
3. Contains numerous mitochondria
4. Serves mainly as a heat generator in animals

Correct answer: 2. The fat cell contains one large fat droplet

Explanation: The color of brown adipose tissue or brown fat is due to both the numerous mitochondria (containing colored cytochromes) scattered through the adipocytes and the large number of blood capillaries in this tissue. Adipocytes of brown fat contain many small lipid inclusions and are therefore called multilocular.The many small lipid droplets, abundant mitochondria, and rich vasculature all help mediate this tissue's principal function of heat production. In comparison with white adipose tissue, which is present throughout the body, brown adipose tissue has a much more limited distribution.